What is the dose of niclosamide used in treatment of Taenia saginata infection in children ?
1. 40 mg/kg single dose
2. 40 mg/kg/day for 3 days
3. 40 mg/kg/day for 7 days
4. 40 mg/kg/day for 21 days

Correct answer: 1. 40 mg/kg single dose